On the basis of BMI obesity is labeled at
1. 20
2. 25
3. 30
4. 18

Correct answer: 3. 30

Explanation: Body mass index (BMI) or Quetelet index:Defined as the body mass divided by the square of the body height, and is expressed in units of kg/m2BMIWeight status< 18.5 Underweight18.5-24.9 Healthy25.0-29.9Overweight>= 30.0Obese30.00-34.99 Obese class I35.00-39.99 Obese class II>= 40 Obese class IIIRef: Harrison's 18/e p608, 622, 630